Third head of coracobrachialis is denoted as -
1. Struther's ligament
2. Brachioradialis
3. Radial collateral ligament
4. Ulnar ligament

Correct answer: 1. Struther's ligament